Drug causing exanthema -
1. Atropine
2. Phenytoin
3. Sulfonamide
4. All of the above

Correct answer: 4. All of the above

Explanation: Ans. is 'd' i.e., All of the above \Ref: Rooks ?h/e p. 73.22-73.23]Drugs causing exanthematic reactionsMost commonLess commonAmpicillin and penicillinPhenylbutazone and other pyrazolonesSulphonamidesPhenytoinCarbamazepineGoldGentamicinMeprobamateAtropineCephalosporinsBarbituratesThiazidesNaproxenIsoniazidPhenothiazinesQuinidine